Which anti-tubercular agent is associated with side effects as respiratory syndrome, cutaneous syndrome, flu like syndrome and abdominal syndrome?
1. PAS
2. Pyrazinamide
3. Rifampicin
4. Streptomycin

Correct answer: 3. Rifampicin

Explanation: Flu like syndrome is an adverse effect of Rifampicin (R) Rifampicin (R) It is a derivative of rifamycin (other derivatives are rifabutin and rifapentine). It is bactericidal against both dividing and non-dividing mycobacterium and acts by inhibiting DNA dependent RNA polymerase. Its metabolites are coloured and can cause orange discolorationof the urine and secretions. It can also cause orange staining of contact lens. It is eliminated mainly in the feces and can be used safely in renal dysfunction. Food interferes with absorption. It penetrates all membranes including blood brain and placental barrier. It is equally effective against intra- and extra-cellular bacilli. It is the only bactericidal drug active against dormant bacteria in solid caseous lesions. It is the most effective and fastest acting drug in leprosy. It can cause light chain proteinuria and may impair antibody responses. It is also hepatotoxic and may cause skin rash, flu like syndrome (more prominent with intermittent regimen) and anemia.